All of the following neurotransmitter deficiencies are observed in Alzheimer's disease, Except
1. Acetylcholine
2. Serotonine
3. Noradrenaline
4. Dopamine

Correct answer: 4. Dopamine

Explanation: Answer is D (Dopamine):Dopamine deficiency is not a feature of Alzheimer's disease.